As per our National Population Policy 2000, the long-term objective is to achieve the population stability by which one of the following years?
1. 2025
2. 2035
3. 2045
4. 2055

Correct answer: 3. 2045